Prophylactic maintenance serum level of lithium is :
1. 0.5 - 0.8 mEq/L
2. 0.7 - 1.2 meq/L
3. 1.2 - 2.0 meq/L
4. 2.0 - 2.5 meq/L

Correct answer: 1. 0.5 - 0.8 mEq/L

Explanation: Blood lithium levels :

Therapeutic level : 0.8 - 1.2 mEq/L.

(For t/t of acute mania)

Prophylactic level : 0.5 - 0.8 mEq/L.

           (For relapse prevention in bipolar disorder)

Toxic lithium levels : > 2.0 mEq/L.